Increased BMR is associated with -
1. Increased body fat store
2. Increased glvcognenesis
3. Increased glycolysis
4. Increased lipogenesis

Correct answer: 3. Increased glycolysis

Explanation: Ans. is 'c' i.e., Increased glycolysis o Increased BMR is associated with hyper metabolic state which is characterized by :-Carbohydrate metabolismi) | Glycolysis| Gluconeogenesis| Glvcogenesis| GlyeogenolysisLipid metablism| Lipogenesis| Lipolysis| Cholesterol Synthesis| Triacylglycerol Synthesis| Lipoprotein degradation| KetogenesisProtein metablismIncreased protein degradationDecreased protein biosynthesis